Rapid method of chromosome identification in intersex is:
1. FISH
2. PCR
3. SSCP
4. Karyotyping

Correct answer: 1. FISH

Explanation: Ans. A. FISHCertain probes used in FISH hybridize to repetitive sequences located to the pericentromeric regions. These probes are useful for the rapid identification of certain trisomies in interphase cells of blood smears, or even in FISH requires prior knowledge of the one or few specific chromosomal regions suspected of being altered.Genomic abnormalities canal so be detected without prior knowledge of what these aberrations may be, using a global strategy such as array CGH.From the above description it is concluded thatTo locate a known gene locus FISH can be used.To locate an unknown gene locus, a global strategy like CGH is used.